Constitutional pancytopia can be seen in following except
1. Fanconi's anemia
2. Diamond - Blackfan syndrome
3. Dyskeratosis congenita
4. Schwachman Diomond syndrome

Correct answer: 2. Diamond - Blackfan syndrome

Explanation: Diamonds blackfan syndrome is a pure red cell aplasia. Reference: GHAI Essential pediatrics, 8th edition